During autopsy, If spinal cord is to be examined what is the most commonly used approach -
1. Anterior
2. Posterior
3. Lateral
4. Antero-lateral

Correct answer: 2. Posterior

Explanation: To examine spinal cord the body is placed in prone position with head downwards. A wooden block is placed under chest and head is bent downwards. A midline incision is made from occipital protuberance to fourth lumbar vertebra. Dr. Narayana Reddys Synopsis of Forensic Medicine & Toxicology 27 th edition pg. 60.